An 18 year old male patient presented to the clinic with pain and swelling in the lower jaw. Intraoral examination
revealed localized gingival bleeding in the right posterior region. On palpation, pulsations can be appreciated. Lesions are also appreciated on the frontal bone on a radiograph. Which condition is present in this patient?
1. Vascular malformation
2. Cherubism
3. Eosinophilic granuloma
4. Brown tumor

Correct answer: 1. Vascular malformation

Explanation: Vascular malformation (VM) in bone occurs more frequently than the central hemangioma (CH) of bone. Some 35% of VMs occur in bone, whereas CHs of bone are rare. The CH of bone is a benign tumor that rarely occurs in the jaws; it occurs more frequently in the skull and vertebrae. It may be congenital or traumatic in origin and may be difficult to differentiate from VM. The usual complaint of a patient with a VM or CH is of a slow-growing asymmetry of the jaw or localized gingival bleeding. Numbness and tenderness or pain may also be described. This solitary tumor is found approximately twice as often in female patients, and about 65% occur in the mandible. Some tumors demonstrate pulsation and bruits. Paresthesia is occasionally a feature.